Kaposi sarcoma is related to which virus ?
1. HPV 16
2. HHV-8
3. EBV
4. CMV

Correct answer: 2. HHV-8

Explanation: Harshmohan textbook of pathology 7th edition. it has been shown that infection with human herpes virus 8 or kaposi's sarcoma associated herpes virus is associated with kaposi's sarcoma, a vascular neoplasm common in AIDS patients..